Phenylalanine metabolism products are all except
1. Epinephrine
2. Dopamine
3. Melanin
4. Melatonin

Correct answer: 4. Melatonin

Explanation: Phenylalanine is converted into Tyrosine by the action of enzyme Phenylalanine hydroxylase. Tyrosine is converted into Melanin, Catecholamines, Dopamine, and Thyroxine through various metabolic pathways.Ref: DM Vasudevan - Textbook of Biochemistry, 6th edition, page no: 233